Cholinomimetic drugs can be used for treatment of all of the following conditions except
1. Closed angle glaucoma
2. Bradycardia
3. Cobra bite
4. Myasthenia gravis

Correct answer: 2. Bradycardia

Explanation: Refer kDT 6/e p 104 Cholinomimetic drugs can cause bradycardia as an adverse effect and this cannot be used for the treatment